All of the following may be seen in patients of cardiac tamponade, except:
1. Kussmaul's sign
2. Pulsus paradoxus
3. Electrical alternans
4. Right ventricular diastolic collapse on echocardiogram

Correct answer: 1. Kussmaul's sign

Explanation: Kussmaul's sign is an increase rather than the normal decrease in CVP during inspiration, is most often caused by severe right-sided heart failure; it is a frequent finding in patients with constrictive pericarditis or right ventricular infarction. Kussmaul's sign is present in constrictive pericarditis and its is a clinical sign differentiating cardiac tamponade from constrictive pericarditis. Kussmaul's sign is a rare in cardiac tamponade. All other features mentioned above are associated with cardiac tamponade. So "Kussmaul's sign" is the single best answer of choice. Ref: Harrisons Principles of Internal Medicine, 16th Edition, Pages 1415-17.